A 65-year-old woman complains of severe, acute onset left temporal headache and changes in left eye vision. She presents to her physician with sweating, malaise, and temperature of 99oF. Medical evaluation reveals
1. Myocardial infarction (MI)
2. Pneumonia
3. Diabetes
4. Temporal arteritis

Correct answer: 4. Temporal arteritis

Explanation: Temporal artery inflammation causes severe throbbing unilateral temporal headache, low-grade fever, visual changes, sweating, and malaise. Acute treatment with prednisone can be followed by temporal artery resection